The most commonly practiced operative procedure for a perforated duodenal ulcer is
1. Vagotomy and pyloroplasty
2. vagotomy and antrectomy
3. Vagotomy and perforation closure
4. Graham's omentum patch repair

Correct answer: 4. Graham's omentum patch repair

Explanation: Here perforation is identified and an omental patch is placed & closed with interrupted, horizontal sutures. Because of its adhesion property, it seals perforation, maintain good vascularity, and promote lymphatic drainage Reference: SRB 5th edition, page no: 832